Calcium channel blocker with maximum efficiency on conduction on heart is
1. Phenylamine
2. Nifedipine
3. Verapamil
4. Diltiazem

Correct answer: 3. Verapamil

Explanation: Refer katzung 11e p181 Verapamil, is a medication used for the treatment of high blood pressure, angina, and supraventricular tachycardia. It may also be used for the prevention of migraines and cluster headaches. It is given by mouth or by injection into a vein